The symptoms of hyperthyroidism include
1. Muscle weakness
2. Weight loss
3. Lid lag
4. All of the above

Correct answer: 4. All of the above

Explanation: Ref - Davidsons 23e pg 637